Cyst phase does not exist in -a) Gardenella vaginalisb) Trichomonas vaginalisc) Entamoeba hystolyticad) Entamoeba coli
1. ac
2. a
3. ad
4. ab

Correct answer: 4. ab